Acute Gouty arthritis is seen early in treatment following -
1. Probenecid
2. Allopurinol
3. Rasburicase
4. All of the above

Correct answer: 4. All of the above

Explanation: All of the above Rapid lowering of urate level in chronic gout, by any means, may precipitate an attack of acute gout, probably by causing the dissolution of tophi. o It is therefore usual to give prophylactic suppressive treatment with indomethacine, colchicine or steroid cover during first 2 months of allopurinol or uricosurics. o Amongs the given options, allopurinol, probenecid and Rasburicase are the drugs that lower serum urate level. So, all three can precipitate acute gout. However, among these three, allopurinol is used most commonly therefore is the best answer here.